Cod fish vertebrae seen in
1. Osteomalacia
2. Osteoporosis
3. Hyperparathyroidism
4. All the above

Correct answer: 4. All the above

Explanation: Cod fish vertebrae

Osteomalaria
Osteoporosis
Hyperparathyroidism.